What is the survival rate in patients with unresectable gallbladder carcinoma?
1. 2-6 months
2. 8-10 months
3. 1 yr 8-10 months
4. 12-24 months

Correct answer: 1. 2-6 months

Explanation: Survival rate in patients with unresectable gall bladder carcinoma is 2 - 6 months and therefore operative exploration should be avoided in such patients. In such patients palliative therapy can be given. Narcotics can be given, percutaneous celiac ganglion block helps in reducing the need for narcotics. Chemical splanchnicectomy can be performed in patients with unresectable lesions found at the time of surgery.